Otolith organs are concerned with the function of?
1. Oculovestibular reflex
2. Rotary nystagmus
3. Linear acceleration
4. Angular acceleration

Correct answer: 3. Linear acceleration

Explanation: Otolith organs: Utricle and saccule are the otolith organs. Their Sensory epithelium is called maculae.
They are concerned with linear acceleration-deceleration. They sense the position of the head with respect to gravity. Otoliths: They are crystals of calcium carbonate located on the otolithic membrane present in the maculae. Also called the otoconia.